Maastricht classification of donation after cardiac death.What category is stage 3 ?
1. Awaiting cardiac arrest
2. Brought in dead
3. Unsuccessful resuscitation
4. Cardiac arrest after brain-stem death

Correct answer: 1. Awaiting cardiac arrest

Explanation: Non heart beating donors are grouped according to Maastricht classification . REF: WASHINGTONS MANUAL OF CRITICAL CARE